Which of the following best describes the mechanism of induction of labor with use of abortion stick?
1. Stimulation of uterine contraction
2. Oxytocin present in the stick
3. Uterine necrosis
4. Menstrual bleeding

Correct answer: 1. Stimulation of uterine contraction

Explanation: Abortion stick is a method of criminal abortion usually performed by professional abortionists (dhais) It is introduced into the vagina or os of uterus and retained there till uterine contractions begin. Ref: The Essentials of Forensic Medicine and Toxicology By Dr K S Narayan Reddy, 27th Edition, Chapter 14, Pages 373-76; Parikh's Textbook of Medical Jurisprudence and Toxicology, 6th Edition, Page 5.62